A person's X-ray chest showing homogenous opacity on right side writh shifting of mediastinum on opposite side. Most probable diagnosis is/are:
1. Collapse
2. Pleural effusion
3. Pneumothorax
4. Consolidation

Correct answer: 2. Pleural effusion

Explanation: Ans: B (Pleural effusion) Pleural effusion: X-ray chest pjm20th/139 Homogenous opacityShift of mediastinum to the opposite sideConcave upper border(Ellis's curve)Pneumonectomy chest(Earlv sign: within 24 hr): Partial filling of thorn, ipsilaterai mediastinal shift & diaphragmatic eievation"- Dahnert Radiology 5th/513Table: PjM 20th/139PathologyMediastinumChest wall processConsolidationCentralNormalTotal collapseSame sideRetractionPleural effusionOpposite sideNormalPneumothoraxOpposite sideNormalFibrosisRetractionSame side